All the following are true of duodenal ulcer pain except:
1. relieved by food
2. occurs 2 - 3 hours after going to bed
3. periodic pain
4. relieved by alcohol

Correct answer: 4. relieved by alcohol